ASLO Titres are used in the diagnosis of ?
1. Acute rheumatoid arthritis
2. Acute rheumatic fever
3. Ankylosing spondylitis
4. Osteoarthritis

Correct answer: 2. Acute rheumatic fever

Explanation: Ans. is 'b' i.e., Acute rheumatic fever